Minerals which can generate free radical are all EXCEPT:
1. Copper
2. Selenium
3. Cobalt
4. Nickel

Correct answer: 2. Selenium

Explanation: Selenium helps in the scavenging of free radical as it is required for enzyme Glutathione Peroxidase (antioxidant). Transition metals like Iron, Copper, Cobalt, Nickel generate free radicals. Transition metals can react with superoxide radical to form hydroxyl radical Ferrous and Cuprous ions are more reactive than their oxidized counterparts i.e. ferric and cupric (Fe+3, Cu+2),Therefore these metals are never found in free state in body.